Muirs and Barclays formula is for:
1. Colloid resuscitation in burns
2. Polytrauma fluid resuscitation
3. Crystalloid in trauma
4. Dextran in burns

Correct answer: 1. Colloid resuscitation in burns

Explanation: Ans. Colloid resuscitation in burns